Regarding, Kleine-Levin syndrome which of the following is not true?
1. Hypersomnia
2. Hyposexuality
3. Modafinil is DOC
4. Also called sleeping beauty syndrome

Correct answer: 2. Hyposexuality

Explanation: Klein - Levine syndrome is a type of Hypersomnia It consists of triad of - Hypersomnia - Hyperphagia - Hypersexuality Treatment - modafinil(DOC)